Which organism can be isolated from stool & sputum -
1. Paragnomus
2. Fasciola
3. Chlornchis
4. P. Carini

Correct answer: 1. Paragnomus

Explanation: PARAGONIMUS WESTERMANI Diagnosis Demonstration of the eggs in sputum or faeces provides definitive evidence. Complement fixation test is positive only during and shortly after active infection, while the intradermal test remains positive for much longer periods